Species of Brucella acquired from contact with goats & sheeps -
1. B melitensis
2. B suis
3. B abartus
4. B canis

Correct answer: 1. B melitensis

Explanation: Ans. is 'a' i.e., B melitensis * There are following four species of Brucellae1. Brucella melitensis# It is the commonest cause of symptomatic disease in humans.# It is the most virulent and invesive species.# It usually infect goats, sheeps and camel.2. Brucella suis# It is of intermediate virulence and primarily infects swin (pigs).3. Brucella abortus# It is of low virulence and primarily infects cattle or buffalo.4. Brucella canis# It infects dogs.